Ideal drug employed in the preoperative preparation for surgical excision of pheochromocytoma is:
1. Atenolol
2. Phenoxybenzamine
3. Reserpine
4. Clonidine

Correct answer: 2. Phenoxybenzamine